Cysteine is abundantly found in:
1. Keratin
2. Chondroitin S04
3. Creatine
4. Spermine

Correct answer: 1. Keratin

Explanation: Ans: a (Keratin) Ref:Vasudevan, 4th ed, p.178; 5th ed, p. 191Cysteine is found in large quantities in keratin of hair and nails.Products of amino acids:TyrosineThyroid hormonesMelaninCatecholaminesThvptophanSerotoninMelatoninNADNADPArginineNitri oxideGlutamateGABAHistidineHistanineFIGLUOrnithine + methionineSpermineSpermidineGlycine+Arginine + MethionineCreatinine